All of the following are true regarding sodium cromoglycate except:
1. Given in acute bronchial asthma
2. Inhibits degranulation of mast cells
3. It is not a bronchodilator
4. it is not absorbed orally

Correct answer: 1. Given in acute bronchial asthma

Explanation: Ans. A: Given in acute bronchial asthma Cromolyn sodium/sodium cromoglycate prevents the release of mediators that would attract inflammatory cells and it stabilizes the inflammatory cells. Sodium cromoglycate stabilizes mast cells. It is not a bronchodilator. Sodium cromoglycate is not absorbed orally Forms available are: As a nasal spray to treat allergic rhinitis. In a nebulizer solution for aerosol administration to treat asthma. As an inhaler for preventive management of asthma. As eye drops for allergic conjunctivitis In an oral form to treat mastocytosis, dermatographic urticaria and ulcerative colitis.